A primary health center (PHC) reports 40-50 cases in a week in the community. This week there are 48 cases normally, based on previous records. This is called
1. Epidemic
2. Sporadic
3. Endemic
4. Outbreak

Correct answer: 3. Endemic

Explanation: Endemic: constant presence of a disease or infectious agent within a given geographic area or population group without importation from outside. (i.e. the disease is occurring at the usual or expected frequency) e.g.: common cold Sporadic: irregularly scattered cases which have no connection with each other. E.g.: tetanus. Epidemic: Occurrence of the disease in a community or region clearly in excess of normal expectancy in a given time period. Outbreak: Outbreak carries the same definition of epidemic, but is often used for a more limited geographic area.